In a class V preparation, during application of rubber
dam the punch of the tooth to be restored should be made:
1. According to the template supplied
2. According to the existing arch form
3. Labial to the position of the tooth to be operated
4. Lingual to the position of the tooth to be operated

Correct answer: 3. Labial to the position of the tooth to be operated